All of the following are seen in Meniere's Disease except:
1. Tinnitus
2. Vertigo
3. Fullness of ear
4. Ear Pain

Correct answer: 4. Ear Pain

Explanation: Meniere's disease also called endolymphatic hydrops is a disorder of the inner ear where the endolymphatic system is distended with endolymph. It is characterized by Vertigo Sensorineural hearing loss Tinnitus Aural fullness Vertigo is due to K+ entry into perilymph and Causes irritation and is episodic Some cases of Meniere's disease show tullio phenomenon. SNHL is due to ion gradient imbalance.